The critical path method in health planning and management is:
1. Shortest time taken to complete the project
2. Longest path taken to complete the project
3. Mid-point for reviewing the project
4. None of the above

Correct answer: 2. Longest path taken to complete the project

Explanation: Ans. B: Longest path taken to complete the project Critical path method/ CPM/critical path analysis is a algorithm for scheduling a set of project activities. It is an important tool for effective project management The essential technique for using CPM is to construct a model of the project that includes the following: A list of all activities required to complete the project (typically categorized within a work breakdown structure), The time (duration) that each activity will take to completion, and The dependencies between the activities